Chorionic villous sampling is needed in all except
1. Neural tube defects
2. Downs syndrome
3. Thalassemia
4. noonan syndrome

Correct answer: 1. Neural tube defects

Explanation: Chorionic villous sampling(CVS) is done at the 10 - 13 week of gestation to diagnose conditions which could be debilitating or life threatening for the unborn fetus. Neural tube defects are best assessed at a later gestation around 20 weeks though the earliest to be picked up is ANENCEPHALY which can be picked up by 10-12 weeks with USG. The most specific indicator for Neural tube defects is the acetylcholinesterase